To avoid external transportation of the root canal
1. precurve instruments.
2. use large instruments.
3. avoid the use of sodium hypochlorite.
4. use vigorous instrumentation.

Correct answer: 1. precurve instruments.